A healthy 20-year-old G1P0 presents for her first OB visit at 10 weeks gestational age. She denies any significant medical history both personally and in her family. All of the following tests should be ordered as part of the initial prenatal care visit except
1. HIV
2. Hepatitis B surface antigen
3. One-hour glucose tolerance test
4. Type and screen

Correct answer: 3. One-hour glucose tolerance test

Explanation: (Cunningham, 21/e, pp 225-559.) A 1hglucose tolerance test should be performed between 24 and 28 weeks for women at risk for gestational diabetes. It is recommended that all women undergo tests for hepatitis B, HIV, type and screen, and CBC at the first prenatal visit.